In a study it is observed that the right ovary ovulates more than left, all are possible explanations for the cause except-
1. Anatomical asymmetry
2. Difference in blood supply to both sides
3. Right handedness is more common in population
4. Some embryological basis

Correct answer: 3. Right handedness is more common in population

Explanation: Right handedness is more common in population 730full.pdf] In the primate it is suggested that ovulations occur with equal .frequency in the left and right ovary. In the humans it there is some controversy about the frequency of ovulation on each side. It is believed that in normally menstruating women ovulation was significantly higher in right ovary. It is believed that right sided predominance was either genetically determined or due to difference in the vasculature of the ovaries. The anatomical asymmetry between the left and right side are also thought to be the reason. The left ovarian vein drains to the left renal vein and the right ovarian vein to the inferior venacava. The left renal vein is thought to be under high pressure than the right and therefore drain slower. Because the left ovary drains slower, the collapsed follicle (corpus luteum) takes longer to clean and thereby diminishes the chances that ovulation will occur on that side the .following month. - No such condition exists on the right side which is why successive right side ovulation is more common.